Post menopausal estrogen production is due to :
1. Peripheral aromatization of androstenedione
2. Adrenal - direct production
3. Ovarian tumor
4. Ovary testosterone secretion

Correct answer: 1. Peripheral aromatization of androstenedione

Explanation: In menopause estrogen levels decrease by 66%.
Main source of estrogen production postmenopausaly is by peripheral aromatization of androstenedione.
Main estrogen after menopause - oestrone.